All are features of renal tubular acidosis type I, except :
1. Stone in kidney
2. No anion gap
3. Hypokalemia
4. Fanconi syndrome

Correct answer: 4. Fanconi syndrome

Explanation: Aswer is D (Fanconi syndrome): Fanconis Syndrome is an entity characterized by defective tubular reabsorption of most amino acids, glucose. urate, phosphate and bicarbonate. Defective tubular absorption of bicarbonate, with failure to transport hydrogen ions causes a renal tubular acidosis producing hyperchloremic acidosis. Proximal RTA (RTA type II) is most often due to generalized proximal tubular dysfunction manifested by glycosuria aminoaciduria and phosphaturia (Fanconi's Syndrome) - Harrisons